Which of the following is the best indicator of long-term nutritional status
1. Mid arm circumference
2. Height for age
3. Weight for age
4. Weight for height

Correct answer: 2. Height for age

Explanation: Stunting or low height for age is an indicator of chronic malnutrition, the result of prolonged food deprivation and /or disease or illness.Ref: Page 95, Ghai Essential Pediatrics; 8th edition